Glucose transporter in myocyte is:
1. GLUT1
2. GLUT2
3. GLUT3
4. GLUT4

Correct answer: 4. GLUT4

Explanation: Ans. D. GLUT 4GLUT 1Basal glucose uptakePlacenta, blood-brain barrier, brain, red cells, kidneys, colon, many other organsGLUT 2B-cell glucose sensor; transport out of intestinal and renal epithelial cellsB cells of islets, liver, epithelial cells of small intestine, kidneysGLUT 3Basal glucose uptakeBrain, placenta, kidneysGLUT 4Insulin-stimulated glucose uptakeSkeletal and cardiac muscle, adipose tissue,GLUT 5Fructose transportJejunum, spermGLUT 6NonePseudogeneGLUT 7Glucose 6-phosphate transporter in endoplasmic reticulumLiver, other tissues